Propofol infusion syndrome is characterized by
1. Hypokalemia
2. Hypolipidemia
3. Bradycardia
4. Tachycardia

Correct answer: 3. Bradycardia

Explanation: Propofol infusion syndrome occurs when propofol infusion is continued for more than 48 hours

Severe metabolic acidosis
Acute cardiacfailure
Hyperkalemia
Hyperlipidemia
Skeletal myopathy
Refractory bradycardia.